Epiphyseal dysgenesis is a pathognomonic feature of:
1. Hypoparathyroidism
2. Hyperparathyroidism
3. Hypothyroidism
4. Hyperthyroidism

Correct answer: 3. Hypothyroidism

Explanation: Hypothyroidism